Normal GFR is
1. 25ml/min
2. 50ml/min
3. 125 ml/min
4. 90ml/min

Correct answer: 3. 125 ml/min

Explanation: Ans. (c) 125 ml/minRef: Ganong's physiology 23rd ed./ 646* Normal GFR in a healthy person is 125ml/min.